Stage 2B nasopharyngeal angiofibroma best treated with -
1. Surgery
2. Chemotherapy
3. Radiotherapy
4. None

Correct answer: 1. Surgery

Explanation: "In nearly every other circumstance, however, surgery is the treatment of choice".